Appreciation of color is function of?
1. Rods
2. Cones
3. Both
4. None

Correct answer: 2. Cones

Explanation: Ans. b (Cones). (Ref. Parsons, Disease of Eye, 19th /131; Khurana 3rd/ 250; Ganong, Physiology, 21st /166)COLOR VISION# Sensation of any colour is determined by the relative frequency of impulses for cone system# The appreciation of colors is function of cones and occurs in photopic vision.# Normal color vision is trichromatic, the basis of Young Helmotz theory of colour vision.# Other theories of color vision are:- Hering or Hurvich and James Law (trichromatic signal from cones fed into subsequent neural stage and exhibit spectral apponent and spectral non-opponent property), and- Edwin land wavelength theory.# Cones are photoreceptors tightly packed in fovea centralis where there are no rods and other layers of retina are very thin here.# Central part of fovea constitutes of cones and their nuclei largely; all other retinal layers are absent.